Initial manoeuver done in congenital dacryocystitis:
1. Probing
2. Massaging
3. Ointments
4. Observation

Correct answer: 2. Massaging

Explanation: Ans. B: Massaging Congenital nasolacrimal duct obstructions spontaneously resolve in 90% of cases during the first year of life. Massage with digital pressure is considered as an aid in speeding up this natural resolution. Other than massage, topical antibiotics are useful for mucopurulent discharge, but the only treatment of efficacy for those patients who do not resolve spontaneously is surgery.